Inner ear fully developed at
1. 4 weeks
2. 10 weeks
3. 20 weeks
4. 32 weeks

Correct answer: 3. 20 weeks

Explanation: Ans. is 'c' i.e., 20 weeksDevelopment of membranous internal ear is completed by 10" weeks and reaches its adult size and shape by 20-22 weeks when the cochlea is developed sufficiently.